Tentative cuts are seen in -
1. Accidental injury
2. Fall from height
3. Suicidal attempt
4. Homicidal assault

Correct answer: 3. Suicidal attempt

Explanation: Ans. is 'c' i.e., Suicidal attempt * Hesitation cuts (Tentative cuts or trial cuts) are characteristic features of suicidal attempt.